A test that can be used for typing of class I histocompatibility antigens is
1. Cell mediated Iympholysis (CML)
2. Donor-recipient mixed lymphocyte response
3. Primed lymphocyte typing
4. Antibody and complement mediated cytotoxicity

Correct answer: 4. Antibody and complement mediated cytotoxicity